All are the requirements of the classification of a partially edentulous arch; Except
1. It should permit immediate visualization of the type of partially edentulous arch that is being considered.
2. It should permit immediate differentiation between the tooth-supported and the tooth- and tissue-supported removable partial denture.
3. It should be universally acceptable.
4. None of the above

Correct answer: 4. None of the above